Children with Thalassemia and Iron overload are at an increased risk for infection with?
1. Yersinia Enterocolitica
2. Campylobacter jejuni
3. Escherichia coli
4. Vibrio cholera

Correct answer: 1. Yersinia Enterocolitica

Explanation: - Iron therapy may increase the virulence of malaria and certain, gram-negative bacteria, particularly in developing countries. - Iron overload is associated with Yersinia infection. EXTRA EDGE: - Iron overload is treated by iron chelation therapy - IRON CHELATION THERAPY: Usually started when serum ferritin > 1000 ng/ml Deferoxamine - Parenterally (IV or SC) - Effective in reverting hepatic & cardiac iron deposition. Deferiprone - 1st oral chelator. - Adverse effects - Agranulocytosis, GI side effects, arthritis Deferasirox - Oral drug, Effective in decreasing cardiac iron burden & lowering serum ferritin.